In cephalometric analysis of children with malocclusion,
The angle ANB is frequently used in patients with severe class II malocclusions, This angle is
1. Large
2. Small
3. Normal
4. Negative

Correct answer: 1. Large